Not true about NEC:-
1. The distal part of colon is the most frequently involved segment.
2. Greatest risk factor for NEC is prematurity
3. NEC may be seen in term infants
4. Aggressive formula feeding may predispose to the development of NEC

Correct answer: 1. The distal part of colon is the most frequently involved segment.

Explanation: The distal part of ileum & the proximal segment of colon are involved most frequently. Option 2- Greatest risk factor for development of NEC is prematurity. Other risk factors include formula feed, aggressive enteral nutrition advancement, hyperosmolar feeds, intestinal ischemia , maternal cocaine use etc. Option 3- 10% cases of NEC are seen in term infants Option 4- Agressive enteral nutrition may predispose to NEC